Taylor's Brace used in
1. Cervical immobilization
2. Dorsolumbar immobilization
3. Scoliosis
4. Fracture femur

Correct answer: 2. Dorsolumbar immobilization